Which of the following is not a consideration for obtaining a resistance form during cavity preparation?
1. Stress patterns of teeth
2. Direction of enamel rods
3. Designing outline form with minimal extension
4. Dovetail preparation of restoration to occlusal loading

Correct answer: 4. Dovetail preparation of restoration to occlusal loading